Fetal pulmonary maturity can be evaluated by phospholipid activity in amniotic fluid. In which of the following pregnancies does the fetus have the least chance of developing respiratory distress syndrome (RDS)?
1. Normal pregnancy; amniotic fluid L/S is 1.8:1, phosphatidyl glycerol (PG) is absent
2. Hypertensive pregnancy; amniotic fluid L/S is 1.8:1, PG is absent
3. Hypertensive pregnancy; amniotic fluid L/S is 2:1, PG is absent
4. Diabetic pregnancy; amniotic fluid L/S is 2:1, PG is present

Correct answer: 4. Diabetic pregnancy; amniotic fluid L/S is 2:1, PG is present

Explanation: - The presence of phosphatidylglycerol in amniotic fluid reliably indicates lung maturation. This also is the 'Final indicator of pulmonary' maturity. - PG is present only in option 4 thus fetus have the least chance of developing respiratory distress syndrome (RDS) in option 4